Upon Hysteroscopy which of the following cannot be seen:
1. Tubal ostia
2. Cervix
3. Endometrium
4. Tubal patency

Correct answer: 4. Tubal patency

Explanation: Hysteroscopy is best for diagnosing lesions within the uterine cavity Also: Abnormal Uterine Bleeding Oligomenorrhea amenorrhea, Recurrent Pregnancy loss Endometrial carcinoma, Un-explained infertility Suspected anomalies Missing IUCDs Diagnosing intra uterine submucous fibroids, Polyps, adhesions Septums etc.